True about Ca cervix:a) 90% associated with HPVb) Nulliparityc) OCPd) Immunocompromised patients
1. abc
2. ad
3. bc
4. acd

Correct answer: 4. acd